Foaming liver is seen in ?
1. Organophosphorus Poisoning
2. Actinomycosis
3. Gas gangrene
4. Anthrax

Correct answer: 3. Gas gangrene

Explanation: Ans. is 'c' i.e., Gas gangrene